Deformity of hip in stage of tubercular synovitis stage is -
1. Flexion, abduction external rotation
2. Flexion, adduction internal rotation
3. Flexion adduction externa! rotation
4. Flexion abduction interna! rotation

Correct answer: 1. Flexion, abduction external rotation

Explanation: Ans. is 'a' i.e., Flexion, abduction external rotation Tuberculosis of hipStageClinical findingSynovitisFlexion abduction external rotation apparent lengtheningEarly arthritisFlexion adduction internal rotation apparent shorteningAdvanced arthritisFlexion adduction internal rotation shorteningAdvanced arthritis with dislocation/subluxationFlexion adduction internal rotation with gross shortening